Thyroid storm during surgery is due to?
1. Rough handling during surgery
2. Inadequate preoperative preparation
3. Perioperative intervention
4. Glucocorticoid side effect

Correct answer: 2. Inadequate preoperative preparation

Explanation: Ans. (b) Inadequate Preoperative preparationRef: Schwartz 110th edition, Page 534* The condition may be precipitated by abrupt cessation of anti-thyroid medications, infection, thyroid or non-thyroid surgery, and trauma in patients with untreated thyrotoxicosis.* Occasionally, thyroid storm may result from amiodarone administration or exposure to iodinated contrast agents or following RAI therapy.